A 23-year-old individual who believes in megavitamins therapy develops severe headche, fundoscopy reveals papilloedema. The likely cause for this problem is -
1. Vitamin B12 intoxication
2. Vitamin A intoxication
3. Vitamin E intoxication
4. Vitamin K intoxication

Correct answer: 2. Vitamin A intoxication

Explanation: Vitamin A toxicity causes nausea ,increased intracranial pressure and Papilloedema due to high dose of retinol . Ref Harrison 20th edition pg 86